Hemodialysis is absolutely indicated in -
1. Methanol
2. Benzodiazepine
3. Organophosphorus
4. Amphetamine

Correct answer: 1. Methanol

Explanation: alcohols,long acting barbiturates,chloral hydrate,lithium,salicylates,bromide,inorganic mercury,quinidine,theophylline,and sodium chlorate are effectively removed by peritoneal dialysis hemodialysis is used in methanol,ethylene glycol,chloral hydrate,lithium,trivalent arsenic,acetaminophen,bromides,phenobarbital,salycylates,flourides,sodium chlorate,digitalis,methaqualone,boric acid,and thiocyanates REF:THE SYNOPSIS OF FORENSIC MEDICINE AND TOXICOLOGY:K S NARAYANA REDDY;PAGE NO 289